Bevacizumab is used in:
1. Diabetic retinopathy
2. Glaucoma
3. Diabetic nephropathy
4. Neuropathy

Correct answer: 1. Diabetic retinopathy

Explanation: Bevacizumab is the trade name of Avastin - an angiogenesis inhibitor. It is a monoclonal antibody that blocks angiogenesis by inhibiting VGRF-A. In diabetic retinopathy, there will be blood vessel growth and proliferation due to VGRF which is inhibited by bevacizumab It is used for the treatment of colorectal cancer, lung cancer, breast cancer, renal cancer, diabetic retinopathy REF KD Tripathi 8th ed